True/false statements about inflammatory bowel disease- pending Mucosal granularity is earliest finding seen in ulcerative colitis Coomb sign is seen in UC. Lead pipe colon is seen in UC. Fibrosis and strictures are more common in UC. Apthous ulcers are earliest finding seen in CD.
1. T,F,T,F,T
2. T,F,F,T,F
3. F,T,T,F,T
4. T,F,F,F,F

Correct answer: 1. T,F,T,F,T

Explanation: Inflammatory bowel Disease: Crohn's disease Ulcerative colitis - Terminal ileitis - Rectum - Skip areas - Continuous - Backwash ileitis - has transmural involvement - has superficial involvement - Signs seen Target sign / halo sign Comb sign Rose thorning sign Creeping fat sign String sign of kantor - Sign Seenv Mucosal granularityv Lead pipe appearance Collar button signv Loss of haustration - Earliest finding Aphthous ulcer - gives cobblestone Appearance in bowel Note: Cobblestone appearance in oesophagus-Candida - Earliest finding Mucosal granularity - Has Pseudo sacculation - Has rectal sparing / fibrosis / strictures / Gut shortening - Has Pseudo polyps & crypt abscesses